Bare orbit is/are seen in –
1. Metastasis
2. Neuroblastoma
3. Optic nerve glioma
4. Osteomyelitis

Correct answer: 1. Metastasis

Explanation: Bare orbit is seen in neurofibromatosis, metastasis and meningioma.